IL-5 is released in which hypersensitivity reaction:
1. Type I
2. Type II
3. Type III
4. Type IV

Correct answer: 1. Type I

Explanation: Ans. A: Type I T-helper2 (Th2) cells release IL4, IL5, GM-CSF and other local factors that lead to an influx of eosinophils and tissue damage in contact dermatitis .